GnRh analogues are used in
1. Ovulation induction
2. Endometriosis
3. Fibroid
4. All of the above

Correct answer: 4. All of the above

Explanation: GnRh includes both agonists and antagonists. Used for ovulation induction, fibroid and endometriosis . It induces a state of pseudo menopause were there is a deficiency of both estrogen and progesterone so that further growth of fibroid and endometriosis does not occur. To overcome the distressing s/e of menopause E+P are added which is called as "Add Back" regime. Other condition in which they are used is true precocious puberty in which there is activation of HPO axis .